Hutchinson's triad includes all except:
1. Interstitial keratitis
2. Hutchinson's teeth
3. Vestibular deafness
4. Flat nose bridge

Correct answer: 4. Flat nose bridge

Explanation: Ans. Flat nose bridge